Which of the following is a Alpha emitter?
1. Plutonium-236
2. Carbon-11
3. Oxygen-15
4. Samarium -153

Correct answer: 1. Plutonium-236

Explanation: Alpha (a) radiation: Consists of heavy, positively charged particles, each of which contains two protons and two neutrons. Alpha Emitters : Americium-241 Plutonium-236 Uranium-238 Thorium-232 Radium-226 Radon-222 Polonium-210 84